Kerley B lines seen in:
1. Pleural effusion
2. Mitral stenosis
3. Pericardial effusion
4. All

Correct answer: 2. Mitral stenosis

Explanation: B i.e. Mitral stenosis